All help in protein folding except
1. Chaperons
2. Zinc finger motiff
3. Protein disulfide isomerase
4. Proline-cis, trans- isomerase

Correct answer: 2. Zinc finger motiff

Explanation: Zinc finger motiff The specificity involved in the control of transcription requires that regulatory proteins bind with high affinity to the Correct region of DNA. Three unique motifs - The helix-turn-helix - Zinc finger - The leucine zipper accounts for many of this specific protein DNA interactions. So zinc finger motiff helps in binding of regulatory proteins to DNA and not in protein folding.